Fracture Zygoma shows all the features except -
1. Diplopia
2. CSF rhinorrhoea
3. Epistaxis
4. Trismus

Correct answer: 2. CSF rhinorrhoea